A baby's blood group was determined as O Rh negative.Select the blood group the baby's mother or fatherwill not have.
1. A, Rh Positive
2. B,Rh Positive.
3. AB,Rh Negative
4. O, Rh positive

Correct answer: 3. AB,Rh Negative

Explanation: . AB,Rh Negative